A 32 year old high altitude mountaineer is observed to have a hematocrit of 70%. Which of the following represents the most likely cause/explanation
1. Polycythemia with increased red cell mass
2. Relative polycythemia due to dehydration
3. Polycythemia due to hemoconcentration
4. Polycythemia with high altitude pulmonary edema

Correct answer: 1. Polycythemia with increased red cell mass

Explanation: Erythropoietin secretion increases promptly on ascent to high altitude. The increase in circulating red blood cells triggered by the erythropoietin  begins in  2-3 days and is sustained as long as the individual remains at high altitude.